Buspirone as compared to benzodiazepines:
1. Is more potent anticonvulsant
2. Does not interfere with GABAergic transmission
3. More effective in severe anxiety with panic attacks
4. Produces significantly more sedation

Correct answer: 2. Does not interfere with GABAergic transmission